Consequences of obstructive sleep apnea are all except
1. Pulmonary vasoconstriction
2. Systemic Hypertension
3. Parasympathetic hyper stimulation
4. Polycythemia

Correct answer: 3. Parasympathetic hyper stimulation

Explanation: Obstructive sleep apnea sympathetic hyper stimulation.